Cofactor for Glycogen phosphorylase in Glycogenolysis is
1. Thiamine pyrophospohate
2. Pyridoxal phosphate
3. Citrate
4. FAD

Correct answer: 2. Pyridoxal phosphate

Explanation: Glycogen phosphorylase removes glucose as glucose-6- phosphate from glycogen. It contains pyridoxal phosphate as prosthetic group.Ref: DM Vasudevan, 7th edition, page no: 124